Which of these embryonic structures is the earliest seen USG indicator of pregnancy :
1. Fetal pole
2. Fetal heart activity
3. Gestation sac
4. Fetal skeleton

Correct answer: 3. Gestation sac

Explanation: Gestational sac cardiac activity Trans vaginal scan (TVS) 4+ weeks 5+ weeks Trans abdominal scan (TAS) 5 + weeks 6 + weeks